Umbilical cord becomes black in ?
1. 2-3 days
2. 5-7 days
3. 7-10 days
4. 10-14 days

Correct answer: 1. 2-3 days

Explanation: Ans. is 'a' i.e., 2-3 daysThe cord becomes brownish black within 2 or 3 days after birth.It falls off in about 10-14 days.